Vortex Vein invasion is commonly seen in:
1. Retinoblastoma
2. Malignant melanoma
3. Optic nerve gliomas
4. Medullo-epitheliomas

Correct answer: 2. Malignant melanoma

Explanation: B i.e. Malignant melanoma Malignant melanoma of choroid is the commonest intraocular malignant primary tumor in adults Q. It involves vortex veins Q as choroidal tissue is drained by these veins.